A patient presented in casualty with a history of sudden palpitation, the sensation of impending doom and constriction in his chest. This lasted for about 10-15 minutes after which he became all right. The diagnosis is likely to be -
1. Phobia
2. Personality disorder
3. Generalized anxiety disorder
4. Panic attack

Correct answer: 4. Panic attack

Explanation: Sudden onset of palpitation, sense of impending doom, and constriction in chest lasting for 10-15 minutes suggest the diagnosis panic attack.